In treatment of alphos poisoning, magnesium sulfate acts as:
1. Adjuvant
2. Stabilizer
3. Preservative
4. Purgative

Correct answer: 2. Stabilizer

Explanation: Ans. Stabilizer